Convergent muscle among the following is
1. Subscapularis
2. Deltoid
3. Temporalis
4. Pectoralis minor

Correct answer: 3. Temporalis

Explanation: Convergent muscle is one where all the fibres converge at the insertion (Fan shaped)
Eg - Temporalis